Neonatal seizures in the following disorders is associated with poor prognosis, except –
1. Hypoglycemia
2. Intraventricular hemorrhage
3. Hypocalcemia
4. Meningitis

Correct answer: 3. Hypocalcemia